True regarding autonomic system is
1. High centre of integration is medulla oblongata
2. Conduction autonomic fibres is same as in somatic motor fibres
3. Preganglionic parasympathetic fibres are more lengthy
4. Ratio of preganglionic and post ganglionic fibres is 20:1

Correct answer: 3. Preganglionic parasympathetic fibres are more lengthy

Explanation: Autonomic nervous system
-        The highest centre is the hypothalamus.
-        Conduction speed is slower in ANS compared to somatic nerves. ANS is non-myelinated. 
-        Preganglionic parasympathetic fibers are lengthier because parasympathetic ganglia lie closer to the organs.
-        Ratios of preganglionic to post ganglionic fibers are 1:20 to 1:100 in sympathetic system.